Most common presentation of nasopharyngeal carcinoma.
1. Neck lymph node
2. Blockage of nose
3. Loss of smell
4. Blood tinged discharge

Correct answer: 1. Neck lymph node

Explanation: Painless cervical lymphadenopathyis the most common presenting feature of nasopharyngeal carcinoma. Presence ofunilateral serous otitis media in an adult should raise suspicion of nasopharyngeal growth. (Eustachian tube obstruction leads to serous otitis media which causes deafness). Commonest site of origin for nasopharyngeal carcinoma is thefossa of Rosenmuller. EXTRA EDGE: Nasopharyngeal cancer can causeTrotter's triadof Conductive deafness(eustachian tube blockage), Ipsilateral temporoparietal neuralgia (involvement ofCN V) and Palatal paralysis (CN X)